Main Vector in urban malaria
1. A. Culicifacies
2. A. Stephensi
3. A. Fluviatilis
4. A. Epiroticus

Correct answer: 2. A. Stephensi

Explanation: A. Culicifacies - Main vector in rural areas.
A. Stephensi - Main vector in urban areas.